Earliest symptom in corneal ulcer is:
1. Loss of sensation
2. Diminished vision
3. Photophobia
4. Pain

Correct answer: 4. Pain

Explanation: Ans. Pain